In a patient presenting with abdominal trauma,fracture rib and bruise over left hypochondrium probable diagnosis is -
1. Rupture left lobe of liver
2. Rupture right lobe of liver
3. Splenic rupture
4. Rupture stomach

Correct answer: 3. Splenic rupture

Explanation: Ans. is 'c' i.e., Splenic rupture